Most common position of vermiform appendix:
1. Preileal
2. Retrocecal
3. Pelvic
4. Postileal

Correct answer: 2. Retrocecal

Explanation: Ans. (B) RetrocecalRef: Bailey 26th edition, Page 1199* Most common position is retrocecal--60%* 2nd common position--pelvic 20%